Numerator in calculating positive predictive value -
1. True positive
2. False positive
3. True negative
4. False negative

Correct answer: 1. True positive

Explanation: Ans. is 'a' i.e., True positive Sensitivity =Number of true positive--------------------------------------------Number of true positives + Number of false negative Specificity =Number of true negatives--------------------------------------------Number of true negative + number of false positives. Positive predictive value = -True positive--------------------------True positive + False positive Negative predictive value =True negative--------------------------True negative + False negative